Drugs which cause ototoxicity and circumoral paraesthesia are:
1. Antileprotic drugs
2. Antitubercular drugs
3. Streptomycin
4. Chloramphenicol

Correct answer: 3. Streptomycin